Potable water is defined as :-
1. Zero coliforms per 100 ml
2. One coliform per 100 ml
3. 10 coliforms per 100 ml
4. 100 coliforms per 100 ml

Correct answer: 1. Zero coliforms per 100 ml

Explanation: - Drinking water, also known as potable water, is water that is safe to drink or to use for food preparation. - 'Potable water' is defined as: zero coliforms in any amount of drinking water. - Bacteriological indicators of water quality in India: Coliforms -Overall best indicator. Fecal streptococci - Indicate recent contamination of drinking water. Clostridium perfirenges - Indicate remote contamination of drinking water.